Of the following Exotoxins are -
1. Lipopolysaccharide in nature
2. Produced by grma -ve bacilli
3. Highly antigenic
4. Very stable and resistant to chemical agents

Correct answer: 3. Highly antigenic

Explanation: Table 8.1 EXOTOXINS Proteins heat labile actively secreted by cells diffuse into surrounding medium readily separable from cultures by physical means such as filtration action often enzymatic specific pharmacological effects for each exotoxin specific tissue affiinities active in very minutes dose highly antigenic action specifically neutralised by antibody Ref Ananthanarayan & paniker's Textbook of microbiology 9th edition pg no 75